Phenylketonuria is ?
1. AD
2. AR
3. X linked dominant
4. X linked recessive

Correct answer: 2. AR

Explanation: Ans. is `b' i.e., AR